A palpable mass is noted in the right lobe of the thyroid of a 45-year-old man who visits his physician for a periodic checkup. A biopsy is performed and results in a diagnosis of medullary carcinoma of the thyroid. Which of the following histologic features of thyroid disease would most likely be present in this biopsy specimen?
1. Tumor cells with "Orphan Annie" nuclei
2. Psammoma bodies
3. Tumor cells embedded in an amyloid-laden stroma
4. Infiltrates of lymphocytes with germinal center formation

Correct answer: 3. Tumor cells embedded in an amyloid-laden stroma

Explanation: - Medullary carcinoma of thyroid is a calcitonin-producing tumor of C cells of thyroid contributing to amyloid deposition within tumor. OTHER OPTIONS GIVEN: - Tumor cells with "Orphan Annie" nuclei & presence of psammoma bodies are seen in papillary carcinoma of thyroid. - Infiltrates of lymphocytes with germinal center formation are seen in Hashimoto thyroiditis.